Nerve Conduction is slowest in
1. C fibers
2. A alpha
3. A beta
4. A delta

Correct answer: 1. C fibers

Explanation: Ans. (a) C fibers(Ref: Ganong, 25th ed/p.94)A a - highest conduction velocity (70 - 120 m/s)C fibers - slowest conduction velocity (0.5 - m/s)